Clevidipine is?
1. ACEI
2. Calcium Channel blocker
3. Alpha Blockers
4. ARB

Correct answer: 2. Calcium Channel blocker

Explanation: Ans. B. Calcium Channel blockerIt is dihydropyridine Ca2+ channel blocker indicated for the reduction of blood pressure when oral therapy is not feasible or not desinable.